A 38yr old bisexual man goes to the clinic for counselling about HIV. Which of the following is false about HIV transmission?
1. The risk of acquiring HIV with unprotected receptive anal intercourse is lower than that with penile-vaginal intercourse
2. Male-to- female HIV transmission is usually more efficient in causing infection than female-to-male transmission
3. Male circumcision is associated with a lower risk of HIV acquisition for heterosexual men
4. The quantity of HIV-1 in plasma is a primary determinant of the risk of HIV1 transmission

Correct answer: 1. The risk of acquiring HIV with unprotected receptive anal intercourse is lower than that with penile-vaginal intercourse

Explanation: The risk of HIV acquisition associated with unprotected receptive anal intercourse is relatively higher than that seen in penile-vaginal intercourse. This is because the rectal mucosal membrane is thin and fragile and anal intercourse is associated with microtrauma (rectal tears). The differences in transmission rates between men and women are because the vagina and cervix are exposed to semen for a longer duration, increasing the risk of transmission. However, the penis and urethral orifice are exposed relatively briefly to infected vaginal fluid, lowering the risk. Reference: Ananthanarayan and Paniker's Textbook of Microbiology Tenth edition